Breast milk contains adequate amount of all vitamins EXCEPT?
1. Vit A & Vit D
2. Vit D & Vit K
3. Vit A & Vit K
4. Vit C & Vit D

Correct answer: 2. Vit D & Vit K

Explanation: Breast milk contains adequate amount of all vitamins EXCEPT Vit D & Vit K All exclusively breast fed babies should receive Vit D supplementation 400 IU/day throughout 1st year of life Single dose of Vit K 1 mg IM at birth, to prevent 'Hemorrhagic disease of newborn'.